Cellular infiltrate seen in late pseudomonas infection is formed mainly by ?
1. Neutrophils
2. Lymphocytes
3. Monocytes
4. Plasma cells

Correct answer: 1. Neutrophils

Explanation: Ans. is 'a' i.e., NeutrophilsChemotaxis of LeukocytesAfter exiting the circulation, leukocytes move in the tissues toward the site of injury by a process called chemotaxis, which is defined as locomotion along a chemical gradient.The nature of the leukocyte infiltrate varies with the age of the inflammatory response and the type of stimulus.In most forms of acute inflammation neutrophils predominate in the inflammatory infiltrate during the first 6 to 24 hours and are replaced by monocytes in 24 to 48 hours. There are, however, exceptions to this stereotypic pattern of cellular infiltration.In certain infections-for exampleThose produced by Pseudomonas bacteria-the cellular infiltrate is dominated by continuously recruited neutrophils for several days.In viral infections, lymphocytes may be the first cells to arrive.Some hypersensitivity reactions are dominated by activated lymphocytes, macrophages, and plasma cells (reflecting the immune response).And in allergic reactions, eosinophils may be the main cell type.